Rigafede syndrome is seen in:
1. Infant
2. Adolescent
3. Adult
4. Old age

Correct answer: 1. Infant